Atorvastatin is used as an anti-dyslipidemic drug. These drugs inhibit their target enzyme by:-
1. Competitive inhibition
2. Noncompetitive inhibition
3. Uncompetitive
4. Irreversible inhibition

Correct answer: 1. Competitive inhibition

Explanation: Atorvastatin - anti dyslipidemic drug Inhibits HMG COA reductase Competitive Inhibition Atorvastatin Antioxidant properly High efficacy, most commonly used statin capable lowering LDH by 55-60 % Longer plasma t 1/2 14 - 18 hrs Competitive Non competitive Antagonist bind with the Same receptor as the agonist Antagonist resembles chemically with the agonist Km increase Binds to another site of receptor Does not resemble Vm decrease